All of the following about xanthogranulomatous pyelonephritis are true except:
1. On cut section yellowish nodules are seen
2. Associated with tuberculosis.
3. Foam cells are seen
4. Giant cells are seen

Correct answer: 2. Associated with tuberculosis.

Explanation: Xanthogranulomatous pyelonephritis Chronic destructive granulomatous process of renal parenchyma Associated with Long-term urinary tract obstruction Infection E. coli Proteus mirabilis Pseudomonas Streptococcus faecalis Klebsiella Not associated with Tuberculosis